A 62-year-old woman who is a heavy smoker has an advanced lung cancer that spread into her right third intercostal space posterior to the midaxillary line. If cancer cells are carried in the venous drainage, they would travel first to which of the following veins?
1. Superior vena cava
2. Right superior intercostal vein
3. Azygos vein
4. Right brachiocephalic vein

Correct answer: 2. Right superior intercostal vein

Explanation: The superior intercostal vein is formed by the union of the second, third, and fourth posterior intercostal veins and drains into the azygos vein on the right and the brachiocephalicvein on the left. The azygos vein drains into the superior vena cava. The hemiazygos vein usually drains into the azygos vein.